Incubation period of typhoid -
1. 1-2 day
2. 10-14 day
3. 1 month
4. None

Correct answer: 2. 10-14 day

Explanation: Ans. is 'b' i.e., 10-14 day DiseaseCausative organismIPChicken poxHuman (alpha) herpes virus 314-16 daysMeasles (Rubeolla)RNA paramyxovirus10-14 daysRubella (German Measles)RNA Togavirus14-21 daysMumpsRNA Vlyxomirus14-21 daysInfluenzaOrthomyxovirus18-72 hoursDiphtheriaCorynebacterium diphtheriae2-6 daysPertussis (Whooping cough)Bordetella pertussis7-14 daysMeningococcal meningitisNeisseria meningitis3-4 daysSARSCorona virus3-5 daysTuberculosisMycobacterium tuberculosisWeeks - yearsPoliomyelitisPoliovirus7-14 daysHepatitis AEnterovirus 72 (Picomavirus)15-45 daysHepatitis BHepadna virus45-180 daysHepatitis CHepacivirus30-320 daysCholeraVibrio cholerae1-2 daysTyphoid feverSalmonella typhi10-14 daysStaphylococcal food poisoningStaphylocococus aureus1 -6 hoursAscariasisAscaris lumbricoides2 monthsAncylostomiasis (Hookworm)A. duodenale5 weeks - 9 monthsMalariaPlasmodium vivax8-17 daysPlasmodium falciparum9-14 daysPlasmodium malariae18-40 daysPlasmodium ovale16-18 daysLymphatic filariasisWuchereria bancrofti8-16 monthsRabiesLyssavirus type 1 (Rhabdovirus)3-8 weeksYellow feverFlavivirus fibricus2-6 daysJapanese encephalitisGroup B arbovirus (Flavivirus)5-15 daysKFDArbovirus (Flavivirus)3-8 daysChikungunya feverChikungunyavirus (.Arbovirus A)4-7 daysLeptospirosisLeptospira interrogans4-20 daysBubonic plagueYersinia pestis2-7 daysPneumonic plagueYersinia pestis1-3 daysSepticemic plagueYersinia pestis2-7 daysScrub typhusRickettsia tsutsugamushi10-12 daysQ feverCoxiella bumetti2-3 weeksTaeniasis (Tapeworms)T. solium, T. saginata8-14 weeksLeishmaniasis (Kala azar)L. donovani1-4 monthsTrachomaChlamydia trachomatis5-12 daysTetanusClostridium tetani6-10 daysYawsTreponema pertenue3-5 weeksHIV/AIDSHIV/HTLV-I1I/LAVMonths - 10 yearsSwine FluType A Influenza1-7 daysCrimean Congo FeverNairoviras (Bunyavirus)1-9 days